Drug of choice for acute adrenal insufficiency is ?
1. Oral prednisone
2. IV hydrocortisone
3. IV betamethasone
4. IV dexamethasone

Correct answer: 2. IV hydrocortisone